Most common complication of supracondylar fracture of humerus -
1. Malunion
2. Median nerve injury
3. Myositis ossificans
4. Volkmann's ischemic contracture

Correct answer: 1. Malunion

Explanation: Ans. is 'a' i.e., Malunion * Supracondylar fracture can cause many complications and some of them are serious.* Complications are divided into early and late complications.Early complications* Early complications occurs at the time of injury or within a few days (2-3 days) and include: -i) Vascular injury# The greatest danger of supracondylar fracture is injury to brachial artery. Injury to brachial artery may cause nerve and muscle ischemia (Volkmann's ischemia of flexor compartment) or may result in postischemic swelling due to edema or hemorrhage, thereby causing compartment syndrome, which can cause, if not treated immediatealy, Volkmann's ischaemic contracture later on.ii) Nerve injury# The median nerve (particularly the anterior interosseous branch), the radial nerve or the ulnar nerve may be injured.Late Complications* Occuring weeks to months after the fracture and include : -i) Malunion : - It is the commonest complication of supracondylar fracture and results in cubitus varus (Gun stock deformity). Cubitus valgus is rare and may occur occasionally in posterolateral displacement.ii) Myositis ossificans and elbow stiffness.iii) Volkmann's ischemic contracture.